A patient of RHD developed infective endocarditis after dental extraction. Most likely organism causing this is :
1. Streptococcus viridans
2. Streptococcus Pneumoneae
3. Streptococcus Pyogenes
4. Staphylococcus aureus

Correct answer: 1. Streptococcus viridans

Explanation: Ans. is 'a' ie Streptococcus viridans Viridans streptococci consists of multiple species of alpha hemolytic streptococciVarious species of viridans streptococciS. salivariusS. mitisS. sanguisS.mutans are a part of normal flora of mouth. They can cause bacteremia through minor trauma such as while eating, tooth, brushing and flossing.This bacteremia is thought to be the cause of Endocarditis in these patients.Some frequently asked questions about etiology of endocarditis Most common cause of Acute Bacterial Endocarditis (Native valve) - S.aureus* Most common cause of Early prosthetic valve Endocarditis (< 2 months) - Coagulase negativeStaphylococci* Most common cause of prosthetic valve endocarditis (> 12 months) - Streptococci * (includes viridans, S.bovis, other non-group A) Most common cause of endocarditis in l.V drug abusers - Staphylococcus aureus*